Drug of choice for Falciparum Malaria is:-
1. Chloroquine
2. Mefloquine
3. ACT
4. Proguanil

Correct answer: 3. ACT

Explanation: DOC for Falciparum Malaria - ACT.( Artemisinin based Combination therapy ) In North Eastern states:- ACT-AL co-formulated tablet of Artemether-20 mg / Lumefantrine - 120 mg. Primaquine 0.75 mg/ kg Body weight on day 2. 2. In Other States:- ACT-SP -Artesunate 50 mg tablet for 3 days and Sulphadoxine (500mg) - Pyremethamine (25mg) tablets for 1 Day. Primaquine tablets should be given on Day 2.